A 32 year old Subha, weighing 103 kg has opted for bariatric surgery for weight loss. All of the following are bariatric surgical procedures, EXCEPT:
1. Gastric Banding
2. Gastric Bypass
3. Biliopancreatic diversion
4. Radical subtotal gastrectomy

Correct answer: 4. Radical subtotal gastrectomy

Explanation: Types of Commonly Performed Bariatric Operations by Mechanism of Action: Restrictive Laparoscopic adjustable gastric banding (LAGB) Sleeve gastrectomy (SG) Vertical banded gastroplasty (VBG) Malabsorptive Biliopancreatic diversion (BPD) Jejunoileal bypass (JIB) Combined restrictive and malabsorptive Roux-en-Y gastric bypass (RYGB) BPD with duodenal switch (DS) Ref: Schirmer B., Schauer P.R. (2010). Chapter 27. The Surgical Management of Obesity. In F.C. Brunicardi, D.K. Andersen, T.R. Billiar, D.L. Dunn, J.G. Hunter, J.B. Matthews, R.E. Pollock (Eds), Schwartz's Principles of Surgery, 9e.